Highest pH of the given Root end conditioning material is of:
1. Citric acid.
2. Doxycycline.
3. EDTA.
4. None.

Correct answer: 3. EDTA.

Explanation: citric acid pH=1.
Doxycycline pH= 1.8
EDTA pH= 7.3